Congenital pyloric stenosis present with:
1. Hypokalemic metabolic acidosis
2. Hypokalemic metabolic alkalosis
3. Hyperkalemic metabolic acidosis
4. Hyperkalemic metabolic alkalosis

Correct answer: 2. Hypokalemic metabolic alkalosis

Explanation: Ans. (b) Hypokalemic metabolic alkalosisRef: Bailey & Love 26th ed. ch 63 /1023